Medically important bacteria belongs to
1. Psychrophile
2. Mesophile
3. Thermophile
4. None of the above

Correct answer: 2. Mesophile

Explanation: Psychrophle grows best at -10oC to +10oC
Mesophile - 20°Cc to 40°C
Thermophile - >45°C